Pyruvate dehydrogenase contains all, except -
1. NAD
2. FAD
3. Biotin
4. CoA

Correct answer: 3. Biotin

Explanation: PDH complex is made up of three enzymes and requires five coenzymes.The enzymes are :i) E1 : Pyruvate dehydrogenase or pyruvate decarboxylaseii) E2 : Dihydrolipoyl transacetylaseiii) E3 : Dihydrolipoyl dehydrogenase.The coenzyme required are thiamine pyrophosphate (APP), lipoic acid, FAD, NAD, and CoA.